Initial treatment in the management of trauma is
1. Airway maintenance
2. IV Fluids
3. Fracture stabilization
4. Do not shift

Correct answer: 1. Airway maintenance

Explanation: .primary management Airway management(blocked by food,vomiting,clot,fallen tongue) Breathing Circulation Disability and level of consciousness assessment by Glasgow coma scale Exposure of patient from head to toe for final assessment Fingers and tubes: Finger evaluation, Foley's catheterisation (Ref: SRB's Manual of Surgery, 5th edition, pg no.140)